Mulberry nasal mucosa is seen in
1. Lupus vulgaris
2. Hypertrophic rhinitis
3. Atrophic rhinitis
4. None

Correct answer: 2. Hypertrophic rhinitis

Explanation: Hypertrophic rhinitis: Examination shows hypertrophy of turbinates. Turbinal mucosa is thick and does not pit on pressure. It shows little shrinkage with vasoconstrictor drugs due to presence of underlying fibrosis. Maximum changes are seen in the inferior turbinate. It may be hypertrophied in its entirety or only at the anterior end, posterior end or along the inferior border giving it a mulberryappearance. Ref: Dhingra 7e pg 172.